Assume 4 nucleotides code for an amino acid. What is the number of amino acids coded possible?
1. 4
2. 16
3. 24
4. 256

Correct answer: 4. 256

Explanation: This question is based on an assumption: 1 nucleotide code- 4 amino acids 2 nucleotide code - 4 x 4 = 16 amino acids 3 nucleotide code - 4 x 4 x 4= 64 amino acids 4 nucleotide code - 4 x 4 x 4 x 4 = 256 amino acids